All are true regarding Early Post-cibal syndrome, except -
1. Distension of abdomen
2. Managed conservatively
3. Hypermotility of intestine is common
4. Surgery is usually indicated

Correct answer: 4. Surgery is usually indicated

Explanation: Most of the cases of post-cibal or dumping syndrome can be managed by dietary management or medications (anticholinergic agents, antidiarrhoeal, octreotide).
Only a small percentage of patients need surgery.